The infarct of the following organ is invariably hemorrhagic:
1. Kidney
2. Lung
3. Spleen
4. Heart

Correct answer: 2. Lung

Explanation: Pulmonary infarcts are classically wedge-shaped with base on the pleura, haemorrhagic, variable in size, and most often in the lower lobes.